Gastro jejunostomy is an example of
1. Clean contaminated wound
2. Clean uncontaminated wound
3. Unclean uncontaminated wound
4. Unclean contaminated wound

Correct answer: 1. Clean contaminated wound

Explanation: Ans. is 'a' i.e., Clean contaminated wound Surgical wounds are classified based on the presumed magnitude of the bacterial load at the time of surgery. Classification of Surgical Wounds Clean Wound (Class D include those in which no infection is present; only skin micro flora potentially contaminate the wound. No hollow viscus is entered. No inflammation examples : Hernia repair, breast biopsy Clean/contaminated wounds (Class II) include those in which a hollow viscus such as the respiratory, alimentary or genitourinary tracts with indigenous bacterial flora is opened, but under controlled circumstances without significant spillage of contents. No inflammation. examples : Cholecystectomy, elective GI surgery. Contaminated wounds (Class III) include open accidental wounds encountered early after injury, those with extensive introduction of bacteria into a normally sterile area of the body due to major breaks in sterile technique (eg. open cardiac massage); uncontrolled spillage of viscus contents such as from the intestine. Inflammation is apparent - examples : Penetrating abdominal trauma, large tissue injury, enterotomy during bowel obstruction Dirty wounds (Class IV - include traumatic wounds in which a significant delay in treatment has occurred and in which necrotic tissue is present. Includes wounds in which pus is present. Includes those wounds created to access a perforated viscus accompanied by a high degree of contamination. Severe inflammation is seen - examples : Perforated diverticulitis, necrotizing soft tissue infection.